The method of prepayment wherein the patient pays a percent of total cost:
1. Loan
2. Co-insurance
3. Reasonable fee
4. Fee for service

Correct answer: 2. Co-insurance